In Epidemic dropsy disease, toxin is:-
1. Ergot toxin
2. Sanguinarine
3. BOAA
4. Alkaloids

Correct answer: 2. Sanguinarine

Explanation: Epidemic dropsy It is caused by contamination of mustard oil with 'Argemone oil'. Sanguinarine is the alkaloid toxin contained in argemone oil. The symptoms of epidemic dropsy consist of sudden,non-inflammatory, bilateral swelling of legs, often associated with diarrhoea, dyspnea, cardiac failure & death may follow. Some patients may develop glaucoma. The disease may occur at all ages except breast-fed infants. Mortality varies from 5-50 per cent.